Fracture of proximal forearm cast position is ?
1. Pronated flexion
2. Neutral position
3. Supinated position
4. Position does not matter

Correct answer: 3. Supinated position

Explanation: Ans. is 'c' i.e., Supinated position